A 70 year old male presents with loss of sensation in external auditory meatus (Hitzelberg's sign positive).The likely diagnosis is -
1. Vestibular schwannoma
2. Mastoiditis
3. Bells palsy
4. Middle ear cholesteatoma

Correct answer: 1. Vestibular schwannoma

Explanation: This is a case of vestibular schwanoma where involvement of sensory fibres of VIIth nerve leads to anesthesia over the postero superior part of external meatus and canal. This is known as Hitselberger sign.